All of the followings are used in inherited thrombophilia testing in pregnancy; except:
1. Antithrombin deficiency
2. Protein C deficiency
3. Lupus anticoagulant
4. Factor V Leiden mutation

Correct answer: 3. Lupus anticoagulant

Explanation: Ans. c. Lupus anticoagulantDIAGNOSIS FOR THROMBOPHILIATest for Inherited thrombophilias: Protein S deficiency (PSD), Prothrombin gene mutation (PGM) G2021 OA, Factor V Leiden (FVL) mutation, antithrombin deficiency (ATD) and Protein C deficiency (PCD).High risk of Inherited thrombophilias include homozygous Prothrombin gene mutation(PGM) or Factor V Leiden (FVL); compound heterozygote FVL and PTM; and all ATDLow risk of inherited thrombophilias include heterozygous Factor V Leiden (FVL) or Prothrombin gene mutation (PGM); and all Protein C deficiency (PCD) and Protein S deficiency (PSD)Test for Acquired thrombophilias: Antiphospholipid Syndrome (APS).At least one or more of the following 3 antiphospholipid antibodies must be positive on >2 occasions at least 12 weeks apart.Anti-b2-glycoprotein 1 (lgG and IgM)Lupus anticoagulantAnticardiolipin antibody (lgG and IgM)